The most common retrobulbar orbital mass in adults is:
1. Neurofibroma
2. Meningioma
3. Cavernous hemangioma
4. Schwannoma

Correct answer: 3. Cavernous hemangioma

Explanation: Ans. (c) Cavernous hemangiomaRef: Kanski 7/e, p. 105Cavernous hemangioma occurs most commonly in adults with a female preponderance. Most frequently occur within the lateral part of the muscle cone just behind the globe.